In retinal sealing/retinopexy, what is used?
1. Sulphur hexafluoride
2. Carbon monooxide
3. Nitrous oxide
4. S02

Correct answer: 1. Sulphur hexafluoride

Explanation: The gases commonly employed for tamponading the retina are sulphur hexafluoride (SF6) or perfluoropropane (C3F8). These are injected after sealing the breaks with cryopaxy. The gas bubble remains in contact with the tear for 5-7 days and are absorbed later. Ref: Parson's 22 nd edition page no. 335